In Marfan's syndrome, Aortic aneurysm occurs most commonly in -
1. Ascending aorta
2. Descending aorta
3. Abdominal aorta
4. Arch of aorta

Correct answer: 1. Ascending aorta

Explanation: Ans. is 'a' i.e., Ascending Aortao In marfan syndrome, aortic aneurism typically begins at the base of aorta and involves ascending aorta. Clinical manifestations of marfan syndrome Skeletal abnormalitieso Patient is unusually tallo Fingers and hands are long and slender and have spider like appearance (arachnodactyly).o Because the lower segment of the body largely contributes the tall stature, theUpper segment______________ (usually 2SD below mean for age, race and sex)lower segmentSevere chest deformities, pectus excavatum, pectus craniatum.Scoliosis accompanied by kyphosiso High arched palate and high pedal arches or pes planuso Joint ligaments in hands and feet are lax.o Head is commonly dolichocephalicCardiovascular changeso Mitral valve prolapse can give rise to mitral regurgitationo Dilatation of ascending aorta owing to cystic medial necrosis (loss of medial dilatation of aortic valve ring and the root of the aorta giving rise to severe aortic Occular changeso Bilateral subluxation or dislocation of the lens referred to as ectopia lens (typically o Ocular globe is frequently elongated.Associated changesSpontaneous pneumothoraxo Inguinal and incisional hernias.Note - Some patients may develop hypermobility of joints like Ehlers - Danlos syndrom